Tuberculosis of spine is common at:
1. Sacral
2. Cervica l
3. Lumbosacral
4. Thoracolumbar

Correct answer: 4. Thoracolumbar

Explanation: Thoracolumbar